Ulcerative Colitis and Crohn's diseases are associated with all EXCEPT?
1. Wiskott Aldrich Syndrome
2. Turner's syndrome
3. Glycogen storage diseases Type III
4. Hermansky Pudlak Syndrome

Correct answer: 3. Glycogen storage diseases Type III

Explanation: Genetic disorders that have been associated with IBD: Turner syndrome Hermansky-Pudlak syndrome Glycogen storage disease type Ib Wiskott Aldrich syndrome SCID and Agammaglobulinemia.